A skin condition unique to Chronic Kidney Disease patients:
1. Calcinosis cutis
2. Scleromyxedema
3. Norwegian scabies
4. Nephrogenic fibrosing dermopathy

Correct answer: 4. Nephrogenic fibrosing dermopathy

Explanation: Nephrogenic fibrosing dermopathy- A skin condition unique to CKD patients. It is progressive subcutaneous , especially on the arms and legs. The condition is similar to scleromyxedema and is seen very rarely in patients with CKD who have been exposed to the magnetic resonance contrast agent gadolinium. Current recommendations are that patients with CKD stage 3 (GFR 30-59 mL/min) should minimize exposure to gadolinium, and those with CKD stages 4-5 (GFR <30 mL/min) should avoid the use of gadolinium agents unless it is medically necessary.